Levodopa is contraindicated in:-
1. Alzheimer's disease
2. Multiple sclerosis
3. Glaucoma
4. Parkinsonism

Correct answer: 3. Glaucoma

Explanation: Levo-dopa may cause mydriasis, so it is contraindicated in angle closure glaucoma. Vitamin complexes containing pyridoxine decrease the effectiveness of levo-dopa (pyridoxine is a cofactor of dopa decarboxylase and increases the formation of dopamine in the periphery. This results in decrease in l-dopa's central penetration). Abrupt withdrawal of levodopa may precipitate neuroleptic malignant syndrome. Levo-dopa should be given carefully in patients with active peptic ulcer (increased risk of bleeding) and malignant melanoma (levo-dopa is a precursor of melanin).